Copper is mainly transported by
1. Ceruloplasmin
2. Albumin
3. Haptoglobin
4. Globulin

Correct answer: 1. Ceruloplasmin

Explanation: Normally, dietary copper is more than body's requirement. Excess copper sort absorbed through the stomach and duodenum is transported to the liver where it is incorporated into a2-globulin to form ceruloplasmin, which is excreted by the liver bile normally. Most of the plasma copper circulates as ceruloplasmin. Only minute amount of copper is excreted in the urine normally. TEXTBOOK OF PATHOLOGY 6TH EDITION HARSH MOHAN PAGE NO:628